A 40-year-old woman had lower third molar extracted due to dental caries. Then she developed high fever and pain. On examination, tonsil deviated medially and there was swelling in upper one-third of sternocleidomastoid muscle, Most likely diagnosis is:
1. Hematoma
2. Retropharyngeal abscess
3. Parapharyngeal abscess
4. Ludwig's angina

Correct answer: 3. Parapharyngeal abscess

Explanation: Abscess of pharyngomaxillary or lateral pharyngeal space is also known as parapharyngeal abscess. Infection can come to this space from acute or chronic infections of tonsils and adenoids, bursting of peritonsillar abscess, dental infection of lower third molar teeth, Bezold's abscess, petrositis, infections of parotid, retropharyngeal, and submaxillary spaces, injuries of neck etc. Fever, odynophagia, sore throat, torticoilis and signs of toxemia may develop.